All are components of Citric acid cycle EXCEPT:
1. Fumarase
2. Malonate
3. Succinate dehydrogenase
4. Alpha-ketoglutarate dehydrogenase

Correct answer: 2. Malonate

Explanation: Malonate competitively inhibits succinate dehydrogenase, which converts succinate to fumarate